Fructose absence in semen analysis suggests:
1. Bilateral vas deferens obstruction
2. Seminal vesicles agenesis
3. Testicular failure
4. Prostatic urethral obstruction

Correct answer: 2. Seminal vesicles agenesis

Explanation: Abnormalities Low ejaculate volume may indicate: Retrograde ejaculation Ejaculatory duct obstruction Incomplete collection Androgen deficiency Azoospermia: Testicular failure Obstruction of vas deferens Absence of fructose: Seminal vesicle agenesis or obstruction